The interarch relationship in the pre-dental stage is judged by:
1. Dental groove
2. Gingival groove
3. Lateral sulcus
4. Transverse groove

Correct answer: 3. Lateral sulcus

Explanation: The gum pads get divided into a labio/buccal and a lingual portion which differentiates later. Transverse grooves separate the gum pads into 10 segments. The groove between the canine and the first molar region is called the lateral sulcus, which helps to judge the inter-arch relationship.